HIV infects most commonly
1. CD4+helper cells
2. CD8+cells
3. Macrophage
4. Neutrophil

Correct answer: 1. CD4+helper cells

Explanation: Ans. is 'a' i.e CD4+ helper cells CD4+ T lymphocytes and CD4+ cells of monocyte lineage are the principal targets of HIV.Virtually any cell that expresses the CD4+molecule together with Coreceptor molecules can potentially be infected with H.I.V. e.g.Dendritic cellsLangerhans cellsEven Megakaryocytes, eosinophilis, Astrocytes, oligodendrocytes, microglial cells, CD4+ T cells can also be infected with HIV.